A 32-year-old woman with poorly controlled diabetes mellitus delivers a healthy boy at 38 weeks of gestation. As a result of maternal hyperglycemia during pregnancy, pancreatic islets in the neonate would be expected to show which of the following morphologic responses to injury?
1. Atrophy
2. Dysplasia
3. Hyperplasia
4. Metaplasia

Correct answer: 3. Hyperplasia

Explanation: Hyperplasia Infants of diabetic mothers show a 5% to 10% incidence of major developmental abnormalities, including anomalies of the heart and great vessels and neural tube defects. During fetal development, the islet cells of the pancreas have the proliferative capacity and respond to increased demand for insulin by undergoing physiologic hyperplasia. Fetus may develop hyperplasia of the pancreatic b cells, which may secrete insulin autonomously and cause hypoglycemia at birth. -Metaplasia (choice D) is defined as the conversion of one differentiated cell pathway to another. Diagnosis: Diabetes mellitus